Rhinoscleroma, true statement is:
1. Caused by Klebsiella ozonae
2. Common in urban areas with high socioeconomic strata
3. Begins at the junction between the stratified squamous epithelium of the vestibule and the respiratory epithelium of the nose
4. Histopathological picture with Mikulicz cell and the Russell body is not pathognomonic.

Correct answer: 3. Begins at the junction between the stratified squamous epithelium of the vestibule and the respiratory epithelium of the nose

Explanation: Rhinoscleroma is caused by the bacterium Klebsiella rhinoscleromatis. The infection is more frequent between 20 and 40 years. It is more common in rural areas where social and hygienic standards are low. The disease probably begins at the junction between the stratified squamous epithelium of the vestibule and the respiratory epithelium of the nose. The histopathological picture is pathognomonic. A dense infiltrate is observed consisting mainly of plasma cells and two types of highly characteristic cells. These cells are the Mikulicz cell and the Russell body.